Hyperkalemia without ECG changes may be treated with all except :
1. Calcium gluconate
2. Salbutamol
3. Na bicarbonate
4. Insulin with dextrose

Correct answer: 1. Calcium gluconate

Explanation: Calcium antagonizes the cardiac conduction abnormalities induced by potassium. In the given question, the patient has no ECG changes; therefore calcium gluconate will not be useful. Use of calcium gluconate should be restricted to life-threatening hyperkalemia.